Mutation in Keratin 1 and 10 are associated with?
1. Epidermolysis bullosa simplex
2. Epidermolytic hyperkeratosis
3. Epidermolytic palmoplantar keratoderma
4. Meesmann epithelial corneal dystrophy

Correct answer: 2. Epidermolytic hyperkeratosis

Explanation: ANSWER: (B) Epidermoiytic hyperkeratosisREF: Journal of Pathology 2004; 204: 355-366- DOI: 10.1002/path.l643"Mutations in keratins K1 and K10 are associated with bullous congenital ichthyosiform erythroderma (BCIE), also sometimes referred to as EH or EHK (epidermoiytic hyperkeratosis, the principal clinical feature of this disorder) "Mutations of keratin: (Remember at least first 2)K5/K14Epidermolysis bullosa simplex (EBS)K1/K10Bullous congenital ichthyosiform erythroderma or Epidermoiytic hyperkeratosis (EHK)K9Epidermoiytic palmoplantar keratodermaK6, K16, and K17Pachyonychia congenitaK3/K12Meesmann epithelial corneal dystrophyK4/13White sponge naevus